Loss of vision may occur due to occlusion of -
1. Optic artery
2. Superior Ophthalmic artery
3. Central Retinal artery
4. External carotid artery

Correct answer: 3. Central Retinal artery

Explanation: Ans. is 'c' i.e, Central Retinal artery * Occlusion (usually embolic, but can be thrombotic, inflammatory or traumatic) of the bloodflow in the Central retinal artery leading painless loss of vision.* The main artery supplying the globe is the ophthalmic artery. The portion of the ophthalmic artery that enters the eye at the optic nerve is called the central retinal artery (CRAO). This artery then divides into a superior and an inferior branch retinal artery that each then further subdivides to supply retinal vessels to the retina.